Non hormonal Pill - Centchroman is taken orally:
1. Daily for first three months and then once-a-week
2. Twice a week for the first three months and then once-a-week
3. Thrice a week for the first three months and then once-a-week
4. Twice a week for the first five months and then once-a-week

Correct answer: 2. Twice a week for the first three months and then once-a-week

Explanation: - Centchroman is a selective estrogen receptor modulators or SERMs, a class of medication which acts on the estrogen receptor. - It is best known as a nonsteroidal oral contraceptive. - Centchroman is a weekly pill that needs to be taken twice a week for the first 3 months and then once a week. - Its effect begins after a month.